In a patient with AIDS chorioretinitis is typically caused by:
1. Cytomegalo virus
2. Toxoplasma gondi
3. Cryptococcus neoformans
4. All of the above

Correct answer: 1. Cytomegalo virus

Explanation: Ans. Cytomegalo virus